Durkheim work wras related to -
1. Recommendation of multipurpose worker
2. Management in Health manpower
3. Division of labor
4. Integration of medical and health services

Correct answer: 3. Division of labor

Explanation: Ans. is 'c' i.e., Division of labor o Four major works of Durkheim are1) Division of Labor in society.2) Rules of sociological methods.3) Suicide4) Elementary forms of religious life.